Cell most sensitive to radiation:
1. Lymphocyte
2. Neurotrophil
3. Basophil
4. Platelets

Correct answer: 1. Lymphocyte

Explanation: Ans. Lymphocyte